Norwegian scabies is most commonly seen in?
1. Immunocompromised individuals
2. Infants
3. Young adults
4. Males

Correct answer: 1. Immunocompromised individuals

Explanation: Norwegian scabies: most severe type. Hyperkeratotic scaly and crusted lesions. Large number of mites but Pruritus is less. sites -scalp, face, palms, soles, neck, and lumbosacral area. old, bedridden patients, leprosy with decreased sensations & immunocompromised Rx: Patients with crusted scabies require 2 doses of IVERMECTIN (200 micro g/kg) separated by an interval of 1-2 weeks.